Which of the following is the first step in functional endoscopic sinus surgery
1. Opening of bulla ethmoidalis
2. Unicinectomy
3. Middle meatal antrostomy
4. Middle turbinectomy

Correct answer: 2. Unicinectomy

Explanation: Definitive surgical steps include- 1. Unicectomy- Unicinectomy is done to expose the sinus opening within the middle meatus properly Uncinate process is incised with sickle knife and removed with Blakesley forceps. 2. Identification and enlargement of maxillary ostium. 3. Bullectomy. 4. Penetration of lamella and removal of posterior ethmoid cells. 5. Clearance of frontal recess and frontal sinusotomy. 6. Sphenoidotomy. 7. Nasal packs. Ref: Dhingra 7e pg 478.